Lower limit of left crus of diaphragm is at which veebral level:
1. 8th dorsal
2. 10th dorsal
3. 2nd lumbar
4. 3rd lumbar

Correct answer: 3. 2nd lumbar

Explanation: Veebral levels5th rib, 5th intercostal space, T9 veebra: Right and left dome of diaphragm at max expirationC3 veebra: Hyoid boneC6 veebra: Inferior border of cricoid cailage, division of larynx and tracheaC6 veebra: Inferior cricoid cailage, division of larynx and tracheaC6-T1 veebra: Thyroid glandC7 veebra: Veebra prominensC7 veebra: Superior limit of rhomboid minorveebra: Superior mesenteric aeryLl-L2 veebra: Left crus of diaphragmLl-L3 veebra: Right crus of diaphragmL3 to L4 veebra: UmbilicusL3 veebra: Inferior mesenteric aery and lower border of 10th ribL3 veebra: Right kidney present but not leftL4 veebra: Bifurcation of abdominal aoaL4 veebra: Tubercle of iliac crest and bifurcation of abdominal aoaL4 veebra: Tubercle of iliac crestL5 veebra: Convergence of common iliac veinsS2 veebra: PSISS4 veebra: Natal cleftT1 veebra: Sternoclavicular jointT2 veebra: Superior angle of the scapulaT3 veebra: Base of spine of scapulaT4-T5 interveebral disc: Sternal angleT6-Interveebral disc: Bifurcation of tracheaT5 veebra: Inferior border of rhomboid majorT5-T9 veebra: Sternum properT8 veebra: Caval hiatus of diaphragmT9 veebra: Xiphosternal jointT10 veebra: Esophogeal hiatus of diaphragmT12 veebra: Celiac trunkT12 veebra: Superior border of kidneysT12 veebra: Aoic hiatus of diaphragm